Which of the follow ing organisms is know n to cause Atrophic rhinitis -
1. Klebsiella ozaena
2. Klebsiella pneumonia
3. Streptococcus pneumonia
4. Streptococcus foetidis

Correct answer: 1. Klebsiella ozaena

Explanation: Ans. is 'a' i.e., Klebsiella ozaena Atrophic rhinitis (Qzaena)o Atrophic rhinitis is a chronic inflammation of nose characterized by atrophy of nasal mucosa, including the glands, turbinate bones and the nerve elements. Atrophic rhinitis may be primary or secondary : 1) Primary atrophic rhinitis# The primary pathology' is inflammation and atrophy of the nose. Generally, atrophic rhinitis refers to primary atrophic rhinitis. Causes are : -HereditaryEndocrinal pathology - Starts at puberty. Stops after menopauseiii) Racial factors - Seen more in Whites and Yellow racesiv) Nutritional deficiency - Deficiency of vitamin A, D, E and iron may be responsible for it.v) Infective - Klebsiella ozanae, Diphtheriods, P. vulgaris, E.coli, Staphylococci, Streptococci.v) Autoimmune process - Causing destruction of nasal, neurovascular and glandular elements may be the cause.2) Secondary atrophic rhinitis# Specific infections, such as syphilis, lupus, leprosy, and rhinoscleroma, may cause destruction of the nasal structures leading to atrophic changes. Can also results from long standing purulent sinusitis , radiotherapy of nose, excessive surgical removal of the turbinate and as complication of DNS on the root side of nose.Clinical features of atrophic rhinitiso The disease is mostly seen in females and tends to appear during puberitv.o The disease is always bilateral except in case of DNS where it is seen on the wider side.o There is foul smell from the nose making the patient a social outcast though patient himself is unaware of the smell due to marked anosmia (merciful anosmia).o Patient complains of nasal obstruction inspite of unduly wide nasal chambers. This is due to large crusts filling the nose.o Epistaxis may occur when the crusts are removed,o Crusting may occur in the larynx and cause hoarseness,o Apart from nose, other sites may also be involved.Pharynx - Atrophic phary ngitis may be seenlarynx - Atrophic laryngitis may be seen which can lead to cough and hoarseness of voice.Ear - Obstruction of eustachian tube can cause serous otitis mediaPNS - Small/under developed and have thick walls. They appear opaque on X-ray.